Characteristics histipathological feature of the kidney in DM
1. Nodular glomerosclerosis
2. Fibrin cap
3. Papillary necrosis
4. Diffuse glomerosclrosis

Correct answer: 1. Nodular glomerosclerosis

Explanation: Diabetic lesions of glomerulosclerosis are also called as kimmelstiel-wilson(KW) lesions or intercapillary glomerulosclerosis. These lesions are specific for type 1 diabetics. Refer harshmohan 6/e p678